Which of the following is not an inflammatory mediator?
1. Tumor necrosis factor
2. Integrin
3. Interleukin
4. Interferons

Correct answer: 2. Integrin

Explanation: Mediators Histamine Serotonin 1deg& 2deg Lysosomal granules Nitric Oxide (NO) Arachidonic Acid metabolites Cytokines & Interleukins Platelet Activation factors TNF